Eligible couple is defined as:
1. Married couple with husband age 20-40
2. Married couple with wife age 15-45
3. Married couple irrespective of the age group
4. Just married

Correct answer: 2. Married couple with wife age 15-45

Explanation: Ans. B: Married couple with wife age An eligible couple refers to a currently married couple wherein the wife is in reproductive age group, which is generally assumed to lie between the ages of 15-45. There will be at least 150-180 such couples per 1000 population in India.